If Two screening tests are used in Series, then there will be
1. Increased sensitivity and decreased specificity
2. Increased specificity and decreased sensitivity
3. Increased sensitivity and increased specificity
4. Decreased sensitivity and decreased specificity

Correct answer: 2. Increased specificity and decreased sensitivity

Explanation: Screening tests in series: A population is subjected to one screening test followed by a second screening test ; 2nd screening test is applied only in those in which the 1st screening test is positive. - In this, Combined values of Sensitivity decreases Specificity increases PPV increases NPV decreases